Which of the following statements about confidence limits / interval is true -
1. Smaller the confidence level larger will be the confidence interval
2. Less variable the data, wider will be the confidence interval
3. Sample size does not affect the confidence interval
4. 95% confidence interval will cover 2 standard errors around the mean

Correct answer: 4. 95% confidence interval will cover 2 standard errors around the mean